Female is affected, the male is not. The disease is autosomal dominant, what is the chance in children?
1. 50% affected
2. 25% affected
3. 75% affected
4. All affected

Correct answer: 1. 50% affected

Explanation: Autosomal dominant disorders are manifested in the heterozygous state.
So, at least one of the parent should be affected to transmit the disease to a child.
The homozygous state does not exist as it is not compatible with life, i.e. homozygous fetus usually dies in utero.
So, all the affected individuals will be heterozygous.
If an affected person marries an unaffected one, ie., if one of the parents is affected then every child has 50% of chance of having the disease and 50% of chance not having the disease.